Water brash is a classic symptom of
1. Dyspepsia
2. Indigestion
3. GERD
4. Duodenal ulcer

Correct answer: 3. GERD

Explanation: Water brash is excessive salivation resulting from a vagal reflex triggered by acidification of the esophageal mucosa. This is not a common symptom. Afflicted individuals will describe the unpleasant sensation of the mouth rapidly filling with salty thin fluid, often in the setting of concomitant heartburn.When classic symptoms of gastroesophageal reflux are present, such as water brash and substernal heartburn, presumptive diagnosis andempirical treatment is often sufficient.Ref: Harrison; 19th edition; Page no: 1901